Colour of no 35 file is
1. Red
2. Blue
3. Green
4. Black

Correct answer: 3. Green